Telaprevir is used in the treatment of:
1. Acute hepatitis B
2. Acute hepatitis C
3. Chronic hepatitis B
4. Chronic hepatitis C

Correct answer: 4. Chronic hepatitis C

Explanation: Telaprevir and Boceprevir are used to treat chronic HCV. Must know: Chronic hepatitis B is treated with agents like: IFN-Alpha, PEG IFN-Alpha, lamivudine, adefovir, entecavir, telbivudine and tenofovir. Chronic hepatitis C can be treated with: PEG IFN-Alpha, ribavirin, Telaprevir and Boceprevir Chronic hepatitis D is treated with: IFN- Alpha, PEG IFN- Alpha. Acute hepatitis B and C are usually not treated with antivirals. Ref: Harrison, Edition-18, Page-2568.